All of the following drugs used in the management of diabetes mellitus cause hypoglycemia except:
1. Metformin
2. Tolbutamide
3. Glibenclamide
4. Glipizide

Correct answer: 1. Metformin